Cranial Nerve VIII exits through which of the following?
1. Foramen ovale
2. Foramen rotundum
3. Internal acoustic meatus
4. Stylomastoid foramen

Correct answer: 3. Internal acoustic meatus

Explanation: Ans. C. Internal acoustic meatusForaminaVesselsNervessupraorbital foramensupraorbital artery and veinsupraorbital nerveforamen cecumEmissary veins to superior sagittal sinus from the upper part of the nose foramina of cribriform plate-olfactory nerve bundles (1)anterior ethmoidal foramenanterior ethmoidal artery and veinanterior ethmoidal nerveposterior ethmoidal foramenposterior ethmoidal artery and veinposterior ethmoidal nerveoptic canalophthalmic arteryoptic nerve (II)superior orbital fissuresuperior ophthalmic veinoculomotor nerve (III) trochlear nerve (IV)lacrimal, frontal and nasociliarybranches of ophthalmic nerve (Vi) abducent nerve (VI)foramen rotundum-maxillary nerve (V2)Incisive foramen/canal/Stenson/Scarpaterminal branch of palatine descendens arteryTerminal part of nasopalatine nerve (V2)greater palatine foramengreater palatine artery and veingreater palatine nervesphenopalatine foramensphenopalatine artery and veinnasopalatine nerverami nasales posteriores superiores (V2)lesser palatine foraminalesser palatine artery and veinlesser palatine nerve, greater palatine nerveinferior orbital fissureinferior ophthalmic veins infraorbital artery and vein, tributary of pterygoid plexuszygomatic nerve and infraorbital nerve of maxillary nerve (V2) orbital branches of pterygopalatine ganglioninfraorbital forameninfraorbital artery and vein, tributary of pterygoid plexusinfraorbital nerveforamen ovaleaccessory meningeal artery, emissary vein connecting caverno us sinus with pterygoid plexusmandibular nerve (V3 )lesser petrosal nerve(occasionally)foramen spinosummiddle meningeal arterymeningeal branch of the mandibular nerve (V3 )foramen lacerumartery of pterygoid canal, Meningeal branch of ascending pharyngeal artery, Occipital artery, emissary veinnerve of pterygoid canal through its anterior wall.internal acoustic meatuslabyrinthine arteryfacial nerve (VII), vestibulocochlear nerve (VIII)jugular forameninternal jugular vein, inferior petrosal sinus, sigmoid sinus, Occipital arteryglossopharyngeal nerve (IX), vagus nerve (X), accessory nerve (XI)hypoglossal canal-hypoglossal nerve (XII)foramen magnumanterior and posterior spinal arteries, vertebral arterieslowest part of medulla oblongata, three meninges, ascending spinal fibers of accessory nerve (XI)stylomastoid foramenstylomastoid arteryfacial nerve (VII)